Fontaine and Rutherford classification of peripheral arterial disease is based on:
1. Clinical
2. Arterial stenosis on imaging
3. Both clinical and arterial stenosis on imaging
4. All of the above

Correct answer: 1. Clinical

Explanation: Fontaine or Rutherford classification system of peripheral arterial disease Fontaine classification Rutherford classification Stage Clinical Grade Category Clinical I Asymptomatic 0 0 Asymptomatic IIa Mild claudication I 1 Mild claudication IIb Moderate to severe I 2 Moderate claudication Claudication I 3 Severe claudication III Ischemic rest pain II 4 Ischemic rest pain IV Ulceration or gangrene III 5 Minor tissue loss III 5 Major tissue loss